On bimanual palpation, the feeling of absent uterus is termed as
1. Palmer's sign
2. Chadwick's sign
3. Hegar's sign
4. Goodell's sign

Correct answer: 3. Hegar's sign

Explanation: Hegar's sign Softeningof the lower uterine segment can be elicited between second and fifth month of pregnancy. In a bimanual palpation with one hand placed on the abdomen and two fingers in the vagina the lower uterine segment is not felt and fingers of hands will touch together as if no uterus is between. This test is not recommended now for fear of disturbance of pregnancy. Ref: FORENSIC MEDICINE AND TOXICOLOGY Dr PC IGNATIUS THIRD EDITION PAGE 330